All the following are testicular dysgenesis syndromes except:
1. Cryptorchidism
2. Epispadias
3. Poor sperm quality
4. Hypospadias

Correct answer: 2. Epispadias

Explanation: Ans. (b) Epispadias(Ref: Robbins 9th/pg 975; 8th/pg 988)Testicular dysgenesis syndrome (TDS): cryptorchidism, hypospadias, and poor sperm quality